Taurodontism is characterized by:
1. Hypercementosis
2. Elongated wide pulp canals and short roots
3. Obliterated pulp chambers with secondary dentine deposition
4. Rootless teeth with thin shell of enamel

Correct answer: 2. Elongated wide pulp canals and short roots